The human plasma lipoprotein containing the highest percentage of triacylglycerol by weight is?
1. LDL
2. Chylomicrons
3. VLDL
4. HDL

Correct answer: 2. Chylomicrons

Explanation: Ans. is 'b' i.e., ChylomicronesoMaximum triglyceride content - ChylomicronsoMaximum exogenous triglyceride - ChylomicronsoMaximum endogenous triglyceride - VLDLoMaximum cholesterol content - LDLLipoproteinsoLipoproteins serve to transport the lipid in circulation. As the name suggests, lipoproteins contain lipids and protein. Lipid contents are cholesterol ester, cholesterol, phospholipid and triacylglycerol (triglyceride). Protein moiety of a lipoprotein is known as apolipoprotein or apoprotein (designated as apo -)oFour major types of lipoproteins are:-1) Chylomicrons:-#These are principal form in which dietary lipids (exogenous lipids) are carried from intestine to liver.2) Very low density lipoproteins (VLDL):-#These are triglyceride rich particles and transport endogenous triglyceride from liver to peripheral tissue.3) Low density lipoprotein (LDL):-#These are cholesterol rich particles and are the major source of cholesterol to peripheral tissues.4) High density lipoprotein (HDL):-#They transport cholesterol from peripheral tissues back to liver (reverse cholesterol transport)Composition of plasma lipoproteins ChylomicronVLDLLDLHDL1. Particle mass (kD)400,00010000-80,0002300175-3602. Density (g\cm3)<0.950.95-1.0061.018-1.0631.063-1.213. Diameter (A)1000-10,000300-700150-25075-1004. ApolipoproteinsA, B, C, EB, C, EBA, C, D, E5. Components (% dry weight) Apolipoproteins1.5-2.55-1020-2540-55- Triacvlglvcerols84-8950-657-103-5- Cholesterol4-815-2340-5015-18- Phospholipids7-915-2015-2020-35